Cytogenetics for synovial cell sarcoma
1. t (9,22)
2. t (11,14)
3. t (8,14)
4. t (x,18)

Correct answer: 4. t (x,18)

Explanation: t (x,18) is seen in synovial cell sarcoma and it produces fusion genes like SS18-SSXl-SSX2-SSX4